Non contraceptive use of OCPs are all except:
1. Ca endometrium
2. Ca breast
3. Rheumatoid arthritis
4. Endometriosis

Correct answer: 2. Ca breast